The antigen lacking in Rh negative person is -
1. C
2. D
3. d
4. E

Correct answer: 2. D

Explanation: The commonly used terms Rh factor, Rh positive and Rh negative refer to the D antigen only. Besides its role in blood transfusion, the D antigen is used to determine the risk of hemolytic disease of the newborn (or erythroblastosis fetalis) for Rh disease management.